Investigation of choice for hvpertropic pyloric stenosis is-
1. USG
2. X-ray
3. CT
4. MRI

Correct answer: 1. USG

Explanation: Ans. is 'a' i.e., USG